Non Halophilic vibrio is
1. V. cholerae
2. V. parahaemolyticus
3. V. alginolyticus
4. V. fluvialis

Correct answer: 1. V. cholerae

Explanation: Except for V. cholera and V. mimicus all vibrios are halophilic.